Which is not a function of PHC-
1. Medical care
2. Referral services
3. Advanced Laboratory services
4. MCH

Correct answer: 3. Advanced Laboratory services

Explanation: Functions of PHC includes ; - medical care - MCH - Safe water and sanitation - health education - referral services - training of health guide, health workers - basic laboratory services Reference : Park's textbook of preventive and social medicine, 23rd edition, pg no;905